Selective 5-HT reuptake blocker is
1. Desipramine
2. Amitryptiline
3. Fluoxetine
4. Dothiepin

Correct answer: 3. Fluoxetine

Explanation: Ans. is 'c' i.e., Fluoxetine Selective Serotonin reuptake inhibitorFluoxetine - SertralineParoxetine - CitalopramFluvoxamineDesipramine- Noradrenaline reuptake inhibitor (NA > 5HT)Dothiepin - Noradrenaline and serotonin reuptake inhibitor (NA: 5HT)